Activation of G-protein regulate all of the following except
1. Adenyl cyclase activity
2. Ion channels
3. IP3 & DAG
4. Transcription factor

Correct answer: 4. Transcription factor

Explanation: Activation of g protein causes separation of alfa sub unit from beta nad gama subunits which produces DAG,IP3 Ref:Guyton and Hall textbook of medical physiology 12th edition,page,:534,535